Lacis cells are located at
1. JGA
2. Proximal tubule
3. Distal tubule
4. Loop of henle

Correct answer: 1. JGA

Explanation: The thick end of the ascending limb of the loop of Henle reaches the glomerulus of the nephron from which the tubule arose and nestles between its afferent and efferent arterioles. Specialized cells at the end form the macula densa, which is close to the afferent and particularly the afferent arteriole .The macula, the neighboring lacis cells, and the renin-secreting juxtaglomerular cells in the afferent arteriole from the juxtaglomerular apparatus.Ref: Ganong's review of medical physiology,23rd edition, page: 641